Hernia with hydrocele is .... hernia
1. Gibbon's
2. Fruber ' s
3. Dobson ' s
4. Leobel ' s

Correct answer: 1. Gibbon's